Mechanism of action of aspirin is inhibition of :
1. Thromboxane A2 synthesis
2. Phosphodiesterase
3. HMG-CoA reductase
4. Pancreatic lipase

Correct answer: 1. Thromboxane A2 synthesis